Glucose reabsorption occurs in the
1. Proximal tubule.
2. Loop of Henle.
3. Distal tubule.
4. Cortical collecting duct.

Correct answer: 1. Proximal tubule.

Explanation: Glucose, amino acids, and bicarbonate are reabsorbed along with Na+ in the early portion of the proximal tubule.